Normally, the rate of the heart beat in a human is determined by:
1. The bundle of His
2. All cardiac muscle
3. The sinoatrial node
4. The cervical ganglion

Correct answer: 3. The sinoatrial node